Which of the following passes between base of the skull and superior constrictor muscle?
1. Eustachian tube, levator palatini muscle, ascending palatine artery
2. Maxillary nerve and levator palatine muscle
3. Eustachian tube and stylopharyngeus muscle
4. Ascending palatine artery and glossopharyngeal nerve

Correct answer: 1. Eustachian tube, levator palatini muscle, ascending palatine artery

Explanation: Between base of the skull and superior constrictor muscle lies the Morgagni sinus, through which passes the auditory tube, levator palati muscle, ascending palatine artery and palatine branch of the ascending pharyngeal artery.